Which one of the following colonic polyps is not malignant?
1. Juvenile polyps
2. Hamartomatous polyposis associated with Peutz-Jeghers Syndrome
3. Villous adenomas
4. Tubular adenomas

Correct answer: 1. Juvenile polyps

Explanation: Juvenile poyps have no malignant potential. All other conditions mentioned above are associated with increased risk of malignancy. So juvenile polyps is the single best answer of choice. Ref: Current Surgical Diagnosis and Treatment By Gerard M.Dohey, 12th Edition, Pages 682, 707.